All of the following statements are true regarding giant cell arteritis except:
1. Most commonly seen in old age patient ( more than 50 yrs)
2. Clinical features include constitutional symptoms like fever, fatigue, weight loss, and pain along the course of temporal artery.
3. 50% of the patient presents with ocular symptoms vary from diplopia to complete vision loss
4. It usually involves the whole artery

Correct answer: 4. It usually involves the whole artery

Explanation: Giant cell arteritisis Rare before age 50. Symptoms - constitutional--fever, fatigue,weight loss-- or there may be facial pain or a headache, most intense along the course of the superficial temporal artery Ocular symptoms (ophthalmic artery) appear abruptly in about 50% of patients; range from diplopia to complete vision loss Giant cell arteritis can be extremely focal within an artery, adequate biopsy requires at least a 1-cm segment; even then, a negative biopsy result does not exclude the diagnosis. O/E- CORD like Structure at TM joint * Ischemia skin of scalp- Temporal headache * Ischemia of TMJ - Jaw claudication Elevated ESR Rx - Steroids .(Prednisone at 40-60 mg daily for 1 month with gradual tapering)